Gardasil protects against following HPV strains except-
1. 6
2. 16
3. 18
4. 33

Correct answer: 4. 33

Explanation: Ans. is 'd' i.e., 33 HPV Vaccineso HPV vaccines are given as a series of three shots over 6 months to protect against HPV infection and the health problems that HPV infection can cause.o There are three HPV vaccines:-CervarixGardasilGardasil 9o Girls and young women should get any of these HPV vaccines to prevent cervical cancer.o Two of the HPV vaccines (Gardasil and Gardasil 9) also protect against genital warts and anal cancer in both females and males:Boys should get one oj these HPV vaccines to prevent anal cancer and genital warts.Girls can get either of these vaccines io prevent cervical cancer, vulvar cancer vaginal cancer, anal cancer and genital warts.o HPV vaccines offer the best protection to girls and boys who receive all three vaccine doses and have time to develop an immune response before being sexually active with another person,o That's why HPV vaccination is recommended for preteen girls and boys at age 11 or 12 years.o Two vaccines have market approval in many countries as of 2014 (called Gardasil and Cen>arix in the US).o Both vaccines protect against the two HPV types: (HPV-16 and HPV-18) that cause 70% of cendcal cancers, 80% of anal cancers, 60% of vaginal cancers, and 40% of vulvar cancers.These HPV types also cause most HPV induced oral cancers, and some other rare genital cancers.o Gardasil also protects against the two HPV types :# (HPV-6 and HPV-11) that cause 90% of genital warts.o Both vaccines have been shown to prevent precancerous lesions of the cendx.o Gardasil has been shown to prevent precursors to anal,vulvar, vaginal,and penilecancers.o HPV vaccines are expected to protect against HPV induced cancers of these areas as well as HPV induced oral cancers.o In December 2014, the United States' Food and Drug Administration (FDA) approved a vaccine called Gardasil 9 to protect females between the ages of 9 and 26 and males between the ages of 9 and 15 against nine strains of HPVo Gardasil 9 protects against infection with the strains covered by the first generation of Gardasil (HPV-6, HPV- 11. HPV-16, and HPV-18) and protects against five other HPV strains responsible for 20% of cervical cancers (HPV-31. HPV-33. HPV-45. HPV-52. andHPV-58).